Which of the following doesn't prevent prolapse of uterus:
1. Perineal body
2. Pubocervical ligament
3. Broad ligament
4. Transverse cervical ligament

Correct answer: 3. Broad ligament

Explanation: The uterus is supported mainly by the tone of the levator ani muscles and the condensations of pelvic fascia, which form three important ligaments. The Levator Ani Muscles and the Perineal Body: They form a broad muscular sheet. They effectively support the pelvic viscera. The medial edges of the anterior parts of the levator ani muscles are attached to the cervix of the uterus by the pelvic fascia. Transverse cervical ligaments are fibromuscular condensations of pelvic fascia that pass to the cervix and the upper end of the vagina from the lateral walls of the pelvis. Pubocervical Ligaments: The pubocervical ligaments consist of two firm bands of connective tissue that pass to the cervix from the posterior surface of the pubis. They are positioned on either side of the neck of the bladder, to which they give some support (pubovesical ligaments). Sacrocervical Ligaments: The sacrocervical ligaments consist of two firm fibromuscular bands of pelvic fascia that pass to the cervix and the upper end of the vagina from the lower end of the sacrum. They form two ridges, one on either side of the rectouterine pouch (pouch of Douglas). The broad ligaments and the round ligaments of the uterus are lax structures, and the uterus can be pulled up or pushed down for a considerable distance before they become taut. Clinically, they are considered to play a minor role in supporting the uterus. The round ligament of the uterus, which represents the remains of the lower half of the gubernaculum, helps keep the uterus anteverted (tilted forward) and anteflexed (bent forward) but is considerably stretched during pregnancy.